For the following cardiac abnormalities, select the characteristic JVP finding.Right ventricular infarction.
1. Cannon a wave
2. prominent x descent
3. Kussmaul sign
4. slow y descent

Correct answer: 3. Kussmaul sign

Explanation: Right ventricular infarction and constrictive pericarditis frequently result in an increase in JVP during inspiration (Kussmaul sign). Severe right-sided failure can also be a cause.